Which of the following is treatment for chronic dacryocystitis?
1. Dacryocystorhinostomy
2. Dacryocystectomy
3. Massaging
4. Syringing

Correct answer: 1. Dacryocystorhinostomy

Explanation: Dacryocystorhinostomy(DCR) is the treatment of choice for chronic dacryocystitis.